True about tumor lysis syndrome -a) Hyperkalemiab) Hypercalcemiac) Lactic acid d) Hyperuricemia
1. b
2. c
3. ad
4. ab

Correct answer: 3. ad